Triple H therapy in the management of sub arachnoid hemorrhage includes all except.
1. Hemodilution
2. Hypervolemia
3. Hypertension
4. Hypothermia

Correct answer: 4. Hypothermia

Explanation: "Hypothermia" is not included in "Triple H Therapy".